Resistance to isoniazid, the likely mechanism for resistance is
1. b-Lactamase
2. Mutations in the katG gene
3. Alterations in the rpoB gene
4. Mutations in the DNA gyrase gene

Correct answer: 2. Mutations in the katG gene

Explanation: Strains of M. tuberculosis resistant to individual drugs arise by spontaneous point mutations in the mycobacterial genome that occur at low but predictable rates (10-7-10-10for the key drugs). Resistance to rifampin is associated with mutations in the rpoB gene in 95% of cases; That to isoniazid with mutations mainly in the katG (50-95% of cases) and inhA (up to 45%) genes; That to pyrazinamide in the pncAgene (up to 98%); That to ethambutol in the embB gene (50-65%). Because there is no cross-resistance among the commonly used drugs, the probability that a strain will be resistant to two drugs is the product of the probabilities of resistance to each drug and thus is low.